Hepatic vein drains into
1. Portal vein
2. Inferior vena cava
3. Hemiazygos vein
4. Abdominal aorta

Correct answer: 2. Inferior vena cava

Explanation: B. i.e. (Inferior vena-cava) (317- BDC-2 4th) (245- Snell 8th)The portal vein enters the liver and breaks up into sinusoids, from which blood passes into the hepatic veins that join the inferior vena cava.Tributaries of the Portal veinTributaries of Inferior vena-cava* Splenic vein* Inferior mesenteric vein* Superior mesenteric vein* Left gastric vein* Right gastric vein* Cystic vein1. Common iliac veins2. Third and fourth lumber veins3. Right testicular or ovarian vein4. Renal vein5. Right supra renal vein6. Hepatic veins** Inferior mesenteric vein is found in paraduodenal fossa